Allergic fungal sinusitis is seen in?
1. Immunocompetent Patient
2. Immunocompromised Patient
3. Diabetic Patient
4. None

Correct answer: 1. Immunocompetent Patient

Explanation: Allergic fungal sinusitis is seen in immunodeficient or immunocompetent conditions(most common of them being Diabetes Mellitus) (Ref: Scott Brown, 8th edition, Vol 1, pg no. 1048)